Natural history of disease is studied with ?
1. Longitudinal studies
2. Cross-sectional studies
3. Both
4. None

Correct answer: 1. Longitudinal studies

Explanation: Ans. is 'a' i.e., Longitudinal studies Longitudinal studies In this type of study observations are repeated in the same population over a prolonged period of time by means of follow up examinations. They are useful to Study the natural history of disease For identifying risk factors of disease For finding out incidence rate or rate of recurrence of new cases of disease. Note : Longitudinal studies are difficult to organize and more time consuming than cross sectional studies.